Breast is a -
1. Endocrine gland
2. Modified sweat gland
3. Modified sebaceous gland
4. Holocrine gland

Correct answer: 2. Modified sweat gland

Explanation: Ans. is 'b' i.e., Modified sweat gland o Breast is a modified sweat gland. It is the apocrine type of sweat gland.